Maxillary sinus incision is known as?
1. Lynch Howrath incision
2. Weber Ferguson incision
3. Crile's Y incision
4. Schobinger's incision

Correct answer: 2. Weber Ferguson incision

Explanation: ANSWER: (B) Weber Ferguson incisionREF: Atlas of head & neck surgery - otolaryngology 2nd edition by Byron J. Baileypage 26Repeat ENT 2013 Session 1, June 2009